Bilateral carcinoma breast is common in which of the following type of breast cancer?
1. Lobular
2. Inflammatory
3. Scirrhous
4. Colloid

Correct answer: 1. Lobular

Explanation: Ans. a (Lobular). (Ref. Bailey & Love, 25th/ pg. 837)Breast carcinoma1Mast common typeDuctal carcinoma (80%)2Most malignant (bad prognosis)Inflammatory carcinoma3Most favourable/ excellent prognosisTubular carcinoma4BilateralInvasive Lobular carcinoma5'Indian file pattern' on HPRInvasive lobular carcinoma6Mast common type in malesInfiltrating ductal carcinoma